A 5-day-old infant was born with a laryngeal defect. The greater cornu and the inferior part of the hyoid bone were absent at birth. Failure of development of which of the following embryonic structures most likely led to these defects?
1. Maxillary prominence
2. Mandibular prominence
3. Second pharyngeal arch
4. Third pharyngeal arch

Correct answer: 4. Third pharyngeal arch

Explanation: The third pharyngeal arch gives rise to the greater cornu and lower part of the hyoid bone, in addition to the stylopharyngeus muscle. The maxillary prominence is important in the development of the cheeks and upper lip. The mandibular prominence is important in development of the mandible. The second pharyngeal arch gives rise to the lesser cornu and upper part of the hyoid bone. The fourth pharyngeal arches, while extensively involved in development of the cartilage and muscles of the larynx, play no part in the development of the hyoid bone.